Pathergy test is used for ?
1. Reither's syndrome
2. Bechet's syndrome
3. Lichen planus
4. Atopic dermatitis

Correct answer: 2. Bechet's syndrome

Explanation: Ans. is 'b' i.e., Bechet's syndrome Criteria for diagnosis of Bechet's disease Recurrent oral ulcer for at least 3 times in 12 months. Plus any two of the followings :? Recurrent genital ulcer. Eye inflammation with loss of vision. Characterstic skin lesion (erythema nodosum). Positive pathergy test (skin prick test).